Anemia of chronic disease is characterized by all, except
1. Decreased serum iron
2. Increased TIBC
3. Increased serum ferritin
4. Increased macrophage iron in bone marrow

Correct answer: 2. Increased TIBC

Explanation: Ref Harrison 19 th ed pg 628 AI is normo- cytic and normochromic. The iron values usually make the differential diagnosis clear, as the ferritin level is normal or increased and the percent transferrin saturation and TIBC are typically below normal.